Which of the following is the most accurate way of dating the pregnancy?
1. Determination of uterine size on pelvic examination
2. Quantitative serum HCG level
3. Crown rump length on abdominal or vaginal ultrasound
4. Determination of progesterone level along with serum HCG level

Correct answer: 3. Crown rump length on abdominal or vaginal ultrasound

Explanation: Ans. is c, i.e. Crown rump length on abdominal or vaginal ultrasoundBest method for dating of pregnancy is ultrasound in first trimester. The best parameter is Crown Rump length.